The primordia of the craniofacial complex develops from
1. Hensen's node
2. Notochordal process
3. Cloacal membrane
4. Blastopore

Correct answer: 1. Hensen's node